Jugular foramen transmits all of the following except:
1. Inferior petrosal sinus.
2. Cavernous sinus.
3. Internal Jugular Vein
4. Meningeal branch of ascending pharyngeal artery.

Correct answer: 2. Cavernous sinus.